Corticosteroid used in all EXCEPT:
1. Miliary tuberculosis
2. Meningeal tuberculosis
3. Renal tuberculosis
4. Intestinal tuberculosis

Correct answer: 4. Intestinal tuberculosis

Explanation: (Intestinal tuberculosis): Ref: 708-KDT (287-KDT 6th)The American Academy of Pediatrics recommends that children with bone and joint tuberculosis tuberculosis meningitis, or military tuberculosis, receives 9 to 12 months of treatment of ATTROLE OF CORTICOSTEROIDS(a) In seriously ill patients (military or severe pulmonary TB) to buy time for drugs to act(b) When hypersensitivity reactions occur to ATT(c) In meningeal or renal TB or pleural effusions - to reduce exudation and prevent its organization, strictures etc.(d) In AIDS patients with severe manifestations of tuberculosis* Corticvosteroids are contraindicated in intestinal tuberculosis silent perforation can occur* Corticosteroids if given should be gradually withdrawn when the general condition of the patient improves.